The use of electro surgery facilitate impression making by
1. Reopening the gingival sulcus
2. Forcing the impression material
3. Enlarging the gingival sulcus and control of hemorrhage
4. Hemorrhage

Correct answer: 3. Enlarging the gingival sulcus and control of hemorrhage